Which of the following is the most common malignant ovarian tumor?
1. Serous cysadenocarcinoma
2. Mucinous tumor
3. Endometrioid tumor
4. Mesonephroid tumor

Correct answer: 1. Serous cysadenocarcinoma

Explanation: Ans. is 'a' i.e., Serous cystadenocarcinoma o Serous cysadenomas or cysadenocarcinomas form about 50% of all the ovarian tumors. Of these 60 - 70 % are benign, 15% borderline malignant, and 20 - 25% malignant. Thus serous cystadenocarcinomas form the most common malignant tumors of ovary.